Hepatotoxic carcinogen is produced by -
1. Aspergillus flavus
2. Claviceps fusiformis
3. Aspergillus fumigatus
4. Argemone mexianna

Correct answer: 1. Aspergillus flavus

Explanation: Aflatoxins are the most potent hepatotoxins in addition to bring carcinogenicREF.PARK'S TEXTBOOK OF PREVENTIVE AND SOCIAL MEDICINE.Editon-21.Page no.-608.